In a snake envenomation, antivenom is started by giving a dose of:
1. 2 vials
2. 4 vials
3. 10 vials
4. 20 vials

Correct answer: 3. 10 vials

Explanation: Ans. 10 vials